Macropolycyte in peripheral smear is a feature of-
1. Hereditary sherocytosis
2. Iron deficiency anaemia
3. Sickle cell anaemia
4. Megaloblastic anaemia

Correct answer: 4. Megaloblastic anaemia

Explanation: Ans. is 'd' i.e., Megaloblastic anemia Macropolymorphonuclear (Macropolycytes) - Neutrophils in megaloblastic anemias are larger than normal (macropolymorphonuclear) and hypersegmented that is they have 5-6 more nuclear lobes.